Fetal abnormality in pregnancy with diabetes :
1. Sacral agencies
2. Hydrocephalus
3. Respiratory distress syndrome
4. Phocomelia

Correct answer: 1. Sacral agencies

Explanation: Sacral agencies